Advantage of phacosurgery over ECCE is-
1. Fast recovery
2. Small incision
3. Low risk of damage
4. All of the above

Correct answer: 4. All of the above

Explanation: Ans. is 'd' i.e., All of the above Advantage of phacoemulsificationIt allows excellent control of each phase of the operation for cataract removal, during surgery.Small incision.Sutureless (no stich) surgery with stable and secure wound.Low risk of damaging endothelium, iris and posterior chamber.Compatible with small size implants (foldable lenses) because of small incision.Early recovery: There is minimum or no astigmatism with early return of binocular vision.